Which one of the components of the TCR (T-cell receptor) is responsible for transmitting signals into the interior of the cell?
1. Zeta chain
2. Alpha chain
3. Beta chain
4. Gamma chain

Correct answer: 1. Zeta chain

Explanation: The CD3 complex associated with the TCR receptor contains two zeta chains that function for transmitting intracellular signaling.